In transverse lie, the presentation is:
1. Vertex
2. Breech
3. Brow
4. Shoulder

Correct answer: 4. Shoulder

Explanation: Transverse lie The long axes of the fetal and maternal ovoid are approximately at right angles to each other and the shoulder is presenting at pelvic inlet.The baby may be directly across the mother's abdomen,when it is a transverse lie,or obliquely across with the head or breech in one iliac fossa ,when it is an oblique lie (refer pgno:383 sheila textbook of obstetrics 2 nd edition)